Pott's puffy tumor is seen in
1. Vertebrae
2. Paranasal sinus
3. Bones forming ankle joint
4. Neck

Correct answer: 2. Paranasal sinus

Explanation: Ans. is 'b' i.e., Paranasal sinus Complications of sinusitis* Complications in properly managed sinusitis are uncommon.* Complication of sinus infection may be1) Local:- Mucocele / mucopyocele, mucous retention cyst, osteomyelitis.2) Orbital :- Periorbital cellulitis, orbital cellulitis, orbital abscess, subperiosteal abscess, cavernous sinus thrombosis, superior orbital fissure syndrome, orbital apex syndrome, edema of eye lids, retrobular neuritis with impaired vision.3) Intracranial :- Intracranial abscess (Epidural, subdural, parenchymal), meningitis, seizure, sepsis, focal neurological deficit.4) Descending infections :- Pharyngitis, laryngitis, tonsillitis, tracheobronchitis, otitis media.5) Systemic :- Toxic shock syndrome (very rare)* Osteomyelitis is more common in frontal sinusitis. Osteomyelitis of frontal bone can cause subperiosteal abscess known as Pott's puffy tumor.* Orbital cellulitis is particular^ common in ethmoid sinusitis.* Cavernous sinus thrombosis and intracranial complications are more common with sphenoid sinusitis.